Which is associated with alcohol related cardiomyopathy
1. Dilated
2. Restrictive
3. Hypertrophic
4. None

Correct answer: 1. Dilated

Explanation: Dilated cardiomyopathy Restrictive cardiomyopathy Hypertrophic obstructive cardiomyopathy Left ventricle is enlarged resulting in reduced systolic function Walls of ventricles become rigid resulting in decreased compliance. Asymmetrical septal hypertrophy resulting in Left ventricular outflow tract obstruction Sub valvular AS Causes: Toxin - alcohol Sequalae to coxsackie-B myocarditis Sarcoidosis Duchenne's muscular Dystrophy Causes: Amyloidosis Sarcoidosis Radiation Endomyocardial fibroelastosis Hyper-eosinophilia Cause: b-myosin gene defect